Stimulant drug is given to child for ?
1. Conduct disorder
2. Speech developmental disorder
3. Pervasive disorder
4. ADHD

Correct answer: 4. ADHD

Explanation: Ans.D. ADHDStimulants (like methylphenidate, dextramphetamine) are the drugs of choice for ADHD.